Pharmacological stressor used in PET scan to detect cardiac function is
1. Dopamine
2. Dobutamine
3. Droxidopa
4. Nor adrenaline

Correct answer: 2. Dobutamine

Explanation: Instead of treadmill test,dobutamine can be used.